In the normal human right eye, the peripheral field of vision is usually least –
1. On the left side (nasally)
2. In the downward direction
3. In the upward direction
4. On the right side (temporally)

Correct answer: 3. In the upward direction

Explanation: The field for a white target extends :- upwards (superior) : 50-600; Downwards (inferior) : 70-75°; Inwards (nasally) : 60°; Outwards (temporally) : 90-100°.